Combined phase I & II trial done for -
1. Antihypertensive agent
2. Anticancer drugs
3. Immunosuppresant
4. Antiarrhythmic agents

Correct answer: 2. Anticancer drugs

Explanation: Ans. is 'b' i.e., Anticancer drugs oRT Because anticancer drugs can produce unacceptable toxicity and we cannot expose healthy humans to such toxicity. Thus, Phase I clinical trials for anticancer drugs are done in patients. Thus, combined phase I and II trials can be done simultaneously as both are done in patients for anticancer drugs.